Average no. of girls that would be born to a woman if she experiences the current fertility pattern throughout her reproductive span (15-44 or 49 years), assuming no mortality known as
1. Net reproduction rate
2. Gross reproduction rate
3. Total marital fertility rate
4. Total fertility rat

Correct answer: 2. Gross reproduction rate

Explanation: Term Definition Net reproduction rate No. of daughters a newborn girl will bear during her life time assuming fixed age specific fertility and mortality ratio Gross reproduction rate Average no. of girls that would be born to a woman if she experiences the current fertility pattern throughout her reproductive span (15-44 or 49 years), assuming no mortality Total marital fertility rate Average no. of children that would be born to a married woman if she experiences the current fertility pattern throughout her reproductive spam Total fertility rate Average no. of children a woman would have if she were to pass through her reproductive bearing children at the same rates as the women now in each age group